PANDA stands for:
1. Prevent Abuse and Neglect through Dental Awareness
2. Prevent Abuse and Neglect through Disease Awareness
3. Prevent Abuse and Neglect through Dental Assurance
4. Prevent Abuse and Neglect through Dichroitic Awareness

Correct answer: 1. Prevent Abuse and Neglect through Dental Awareness

Explanation: Prevent Abuse and Neglect through Dental Awareness is a program to educate professionals and dental auxiliaries about their role and responsibility in recognizing, reporting and preventing child abuse and neglect.